Bevacizumab is ?
1. Anti VEGF antibody
2. Histone decyclase inhibitor
3. Proteosome inhibitor
4. Her2 neu inhibitor

Correct answer: 1. Anti VEGF antibody

Explanation: Ans. is 'a' i.e., Anti VEGF antibody